Semicircular canals are stimulated by
1. Gravity
2. Linear acceleration
3. Rotation
4. Sound

Correct answer: 3. Rotation

Explanation: Rotation causes maximal stimulation of semicircular canals most nearly in the plane of rotation.Ref: Ganong's review of medical physiology; 23rd edition; pg:215.